Gastric acid secretion is decreased by all except:
1. Somatostatin
2. Histamine
3. Cholecystokinin
4. Prostaglandins

Correct answer: 2. Histamine

Explanation: Enteric hormones that inhibit H+ secretion Hormone Source CCK I cells of duodenum and jejunum and neurons in ileum and colon Secretin S cells in small intestine VIP ENS neurons GIP K cells in duodenum and jejunum Neurotensin Endocrine cells in ileum Peptide YY Endocrine cells in ileum and colon Somatostatin D cells of stomach and duodenum, & cells of pancreatic islets